Cat eye syndrome is -
1. Partial trisomy 18
2. Partial trisomy 13
3. Partial trisomy 21
4. Partial trisomy 22

Correct answer: 4. Partial trisomy 22

Explanation: Ans. is 'd' i.e., Partial Trisomy 22 Cat eve syndrome o The supernumerary cat eye syndrome (CES) chromosome is dicentric, containing two copies 22g11. Features i) Ocular cloboma of iris, choroid or optic nerve vii) Cystic dysplasia ii) Preauricular skin tags or pits viii) Mild intellectual disability iii) Congenital heart disease ix) Microphthalmia iv) Anal atresia with fistula x) Microtia with atresia of the external meatus v) Renal malformation --> U/L renal agenesis xi) Intra-or extra hepatic biliary atresia vi) Antimongoloid slant of eye. xii) Malrotation of gut.